Chromosome defective in cystic fibrosis is -
1. Chromosome 5
2. Chromosome X
3. Chromosome 7
4. Chromosome 1

Correct answer: 3. Chromosome 7

Explanation: The primary defect in cystic fibrosis results from abnormal function of an epithelial chloride channel protein encoded by the cystic fibrosis transmembrane conductance regulator (cfTR) gene on chromosome band 7q31.2.